A hospitalized patient has an ejection fraction of 0.4, a heart rate of 95 beats/min, and a cardiac output of 3.5 L/min. What is the patient's end-diastolic volume?
1. 14 mL
2. 37 mL
3. 55 mL
4. 92 mL

Correct answer: 4. 92 mL

Explanation: First, calculate stroke volume from the cardiac output and heart rate: Cardiac output = stroke volume x heart rate; thus, stroke volume = cardiac output/ heart rate = 3500 mL/95 beats/min = 36.8 mL. Then, calculate end-diastolic volume from stroke volume and ejection fraction: Ejection fraction = stroke volume/end-diastolic volume; thus end-diastolic volume = stroke volume/ejection fraction = 36.8 mL/0.4 = 92 mL.